Agatson scoring is done for?
1. Coronary artery disease
2. End organ damage in hypertension
3. End organ damage in SLE
4. CHF with preserved

Correct answer: 1. Coronary artery disease

Explanation: Agatson scoring used to evaluate severity of calcification in coronary artery using MDCT (Multi Detector CT Scan) based on area and density of calcification.